Commonest cause of acute intestinal obstruction is
1. Intussusception
2. Volvulus
3. Inguinal hernia
4. Adhesions

Correct answer: 4. Adhesions

Explanation: Adhesions and bands are the most common causes of intestinal obstruction in Western countries. In india, hernia and then adhesions are the two common causes of intestinal obstruction. There are two types of adhesions. Type1-fibrinous adhesions occur during 5-10th post-surgical peroid. Type2- fibrous adhesions, due to poor blood supply, bowel gets attached to part of peritoneum or omentum or other parts of the bowel. Adhesions due to tuberculosis are severe, dense and difficult to seperate. Reference: SRB's Manual of Surgery, 6th Edition, page no = 924,925.